Organism showing marked resistance to multidrug therapy is
1. Haemophilus ducreyi
2. Calymmobacterium granulomatosis
3. Gonococci
4. Treponema pallidum

Correct answer: 3. Gonococci

Explanation: From 1957,strains with decreased susceptibility(MIC higher than 0.1 unit/ml) became common. As patients infected with such strains did not respond to the usual doses of penicillin, very large doses were used. From 1976, gonococci producing penicillinase have appeared, rendering penicillin ineffective. Since 2006, due to an increase in ciprofloxacin resistance, the dosage was changed to ceftriaxone 125 mg IM, with 1 gm azithromycin single dose or with doxycycline 100mg twice a day for 7 days. Reference: Textbook of Microbiology; Anathanarayan and panicker's; 10th edition; Page no: 237